Structures passing through the greater sciatic foramen are all of the following except -
1. Pyriformis
2. Superior gluteal nerve
3. Inferior gluteal nerve
4. Obturator nerve

Correct answer: 4. Obturator nerve

Explanation: Structures passing through greater sciatic foramen.
Piriformis
Above Piriformis

   Superior gluteal nerve and vessels

Below Piriformis

   Inferior gluteal nerve and vessels
   Sciatic nerve
  Posterior cutaneous nerve of thigh
   Nerve to quadratus femoris
   Pudendal nerve
   Internal pudendal vessels
   Nerve to obturator internus